Which drug is used for treatment of pulmonary hypertension -
1. Calcium channel blockers
2. Todafil
3. Bosentan
4. All of the above

Correct answer: 4. All of the above

Explanation: Ans. is 'd' i.e., All of the aboveo Drugs used to treat pulmonary hypertension are act by -1) Direct vasodilators# Calcium channel blockers are the first line therapy if patient responds to vasodilators.2) Increasing effect of NO/cGMP# Phosphodiesterase-5 inhibitors prevent degradation of cGMP and cause vasodilatation.# Drugs are sildenafil and todafil.3) By increasing effect of prostacycline (PGI2)# PGI2 causes pulmonary vasodilatation.# So prostacyclins like epoprostenol, treprostinal, iloprost or beraprost can be used in pulmonary hypertension.4) Decreasing effect of endothelin# Endothelin causes pulmonary vasoconstriction.# Endothelin receptor blockers (endothelin antagonists) are used in pulmonary hypertension.# These are Bosentan and ambrisentan.